X-ray finding in chronic otitis media is
1. Honeycombing of mastoid
2. Sclerosis with cavity in mastoid
3. Clear-cut distinct bony partition between cells
4. None of the above

Correct answer: 2. Sclerosis with cavity in mastoid

Explanation: X-ray finding in chronic otitis media is usually sclerotic but maybe pneumatized with clouding of air cells. There is no evidence of bone destruction in tubo tympanic type. It is seen in the attico antral disease. Ref: PL Dhingra 7th edition of Ear, Nose and Throat; Pg no 78